Drugs causing Pancreatitis are all except:
1. Somatostatin
2. Azathiprine
3. 1-Asparaginase
4. Furosemide

Correct answer: 1. Somatostatin

Explanation: Ans is a (Somatostatin)